Phlicten is due to:
1. Exogenous allergy
2. Endogeneous allergy
3. Viral keratitis
4. Fungal keratitis

Correct answer: 2. Endogeneous allergy

Explanation: B i.e. Endogenous allergy